Anticoagulant effect of Warfarin is increased by all of the following EXCEPT:
1. Cimetidine
2. Phytonadione
3. Amiodarone
4. Phenylbutazone

Correct answer: 2. Phytonadione

Explanation: Phytonadione is Vit K. It is used as an antidote in warfarin toxicity. From essential of medical pharmacology K D Tripati 7th edition Page no 613